Most specific antiemetic for chemotherapy induced vomiting is:
1. Granisetron
2. Tegaserod
3. Domperidone
4. Doxylamine

Correct answer: 1. Granisetron

Explanation: Ans. (A) Granisetron(Ref: Harrison 20th/e p501)Drugs for chemotherapy induced vomiting5 HT3 blockers like ondansetron, granisetron, dolasetron, palonosetron and ramosetron are DOC for this condition.Palonosetron is most potent 5 HT3 blocker. Dolasetron may prolong QT interval.Palonosetron has longest t1/2 whereas ondansetron has shortest t1/2.Efficacy of these drugs increases if used along with antihistaminics, D2 blockers or dexamethasone.